Mutation in Hartnup's disease is
1. SLC6A18
2. SLC6A17
3. SLC6A19
4. SLC6A20

Correct answer: 3. SLC6A19

Explanation: SLC6A19 gene encodes neutral amino acid transporter. Its mutation is seen in Hartnup's disease.